Posterior relation of neck of pancreas ?
1. IVC
2. Origin of postal vein
3. Aorta
4. Common bile duct

Correct answer: 2. Origin of postal vein

Explanation: Ans. is 'b' i.e., Origin of portal vein